Which of the following is the best medical treatment for GERD
1. H2 blocking agents
2. PPI
3. Sucralfate
4. Prokinetic agents

Correct answer: 2. PPI

Explanation: While Treating GERD, PPIs are superior than other drugs